Supination in flexed elbow is produced by -
1. Supinator
2. Biceps
3. Coracobrachialis
4. Brachialis

Correct answer: 2. Biceps

Explanation: Ans. is 'b' i.e., Biceps MovementMuscles causing movementPronationPronator quadratus (strong pronator), Pronator teres (Rapid pronator).SupinationSupinator (when elbow is extended). Biceps (when elbow is flexed).